All of the following are common adverse effects of HAART therapy except :
1. Steatosis
2. Lipodystrophy
3. Optic neuritis
4. Increased cholesterol

Correct answer: 3. Optic neuritis